Inability to perform rapid alternating movement
1. Past-pointing
2. Dysdiadokokinesia
3. Dysmetria
4. None

Correct answer: 2. Dysdiadokokinesia

Explanation: . The patient with cerebellar disease cannot brake the movement of the limb, and the forearm flies backward in a wide arc. This abnormal response is known as the rebound phenomenon, and similar impairment is detectable in other motor activities. This is one of the important reasons these patients show dysdiadochokinesia, the inability to perform rapidly alternating opposite movements such as repeated pronation and supination of the hands. Ref: guyton and hall textbook of medical physiology 12 edition page number:787,788,789